A drug administered through which of the following routes undergo high first pass metabolism?
1. Oral
2. Sublingual
3. I.V
4. I.M

Correct answer: 1. Oral

Explanation: First pass metabolism refers to metabolism of a drug during its passage from the site of absorption into the systemic circulation. Drugs administered through the oral route undergo high first pass metabolism since it is exposed to drug metabolizing enzymes in the intestinal wall and liver. Reference: Essentials of Medical Pharmacology by K D Tripathi 5th edition page 25.